Most common site of metastasis for Breast Carcinoma is
1. Thoracic vertebra
2. Pelvis
3. Femur
4. Lumbar vertebra

Correct answer: 4. Lumbar vertebra

Explanation: 1) Bone(most common) (70%) - in order -lumbar vertebrae, femur, ends of long bone, thoracic vertebrae, ribs, skull 2)Liver 3)Lung- causes malignant pleural effusion and cannon ball secondaries. 4)Brain- causes increased ICP 5)Adrenals and ovaries Reference: SRB's Manual of Surgery, 6th Edition, page no = 530.